Not included in Charcot's triad?
1. Fever
2. Pain
3. Jaundice
4. Gallbladder lump

Correct answer: 4. Gallbladder lump

Explanation: Gallbladder lump is not a component of Charcot's triad of ascending cholangitis secondary to CBD stones.The triad includes intermittent features like colicky pain,fever & jaundice. Reference:SRB's manual of surgery,5th edition,page no:651.